A newborn infant was referred with intermittent cyanosis which improved on crying but worsened when quiet. What is the most likely dignosis ?
1. Diaphragmatic hernia
2. Congenital heart disease (Cyanotic)
3. Choanal atresia
4. Tracheal agencies

Correct answer: 3. Choanal atresia

Explanation: In choanal atresia cyanosis relieves when baby starts mouth breathing, that is on crying. Ref : Ghai essential of pediatrics, eighth edition, p.no:366